Chargaff's rule state that, in DNA ?
1. Purines to pyrimidines ratio is 2
2. A+T=G+C
3. Purines = Pyrimidines
4. All of the above

Correct answer: 3. Purines = Pyrimidines

Explanation: [Ref : Harper 291h/e p. 344 & 28thie p. 302; Essentials of biochemistry p. 915[Chargaff's rule states that in DNA of all species quantities of ourines is the same as that of pyrimidines, i.e. A+G = T+C. In A + Gother words, ratio of purines to pyrimidines is one, i.e. T c - 1This is because one member of a base pair in a DNA must always be a purine and the other a pyrimidine.This base pairing restriction explains that in a double stranded DNA molecule, the content of adenine equals that of thymine(A=T) and the content of guanine equals that of cylosine (G=C). Therefore = 7 or AC = TG